Alveolar hypoventilation is present in A/E:
1. Bulber poliomyelitis
2. COPD
3. Kyphoscoliosis
4. Lobar pneumonia

Correct answer: 4. Lobar pneumonia

Explanation: D i.e Lobar Pneumonia